Cancer management in which of the following malignancies has dramatically increase the survival:
1. Glioblastoma multiforme
2. Esophageal carcinoma
3. ALL in children
4. Cholangiocarcinoma

Correct answer: 3. ALL in children

Explanation: Ans. c. ALL in children (Ref: of the outcome of acute lymphoblastic leukemia in children Terzah M Horton, MD, PhD: http:// en. wikipedia. org/ wiki/ Acute_lymphoblastic_leukemia)"Acute leukemia is the most common form of cancer in children, comprising approximately 30 percent of all childhood malignancies. Of the acute leukemias, acute lymphoblastic leukemia (ALL) occurs five times more commonly than does acute myeloid leukemia (AML). Survival rates for ALL have improved dramatically since the 1980s, with a current five- year overall survival rates estimated at greater than 85 percent. This improvement in survival is due to treatment of a large number of children on sequential standardized research protocols."- style="font-size: 1.04761904761905em; font-family: Times New Roman, Times, serif"> of the outcome of acute lymphoblastic leukemia in children Terzah M Horton. MD, PhD"Prognosis of ALL: The survival rate has improved from zero, four decades ago to 20-75 percent currently, largely due to clinical trials on new chemotherapeutic agents and improvements in stem cell transplantation (SCT) technology. New drugs, and matching treatment to the genetic characteristics of the blast cells, may improve those rates."- http:// en.wikipedia.org/wiki/Acute_lymphohlastic_leukemia;